Which of the following is not seen in fetal alcohol syndrome?
1. Microcephaly
2. Macrocephaly
3. Holoprosencephaly
4. Thinning of corpus callosum

Correct answer: 2. Macrocephaly

Explanation: b. Macrocephaly(Ref: Nelson's 20/e p 2813)Microcephaly, Growth retardation, ptosis, absent philtrum, congenital heart disease (ASD), feeding problems, neuroglial heterotopia & disorganization of neurons are features of fetal alcohol syndrome.